Warm antibody hemolytic anemia is seen in?
1. Methyldopa
2. EBV infection
3. Quinine
4. Mycoplasma infection

Correct answer: 1. Methyldopa

Explanation: Ans. (a) Methyldopa(Ref: Robbins 9th/pg 643-644)Drugs causing warm Ab type Autoimmnue Hemolytic Anemia:Antigenic type Q: penicillin and cephalosporinsInnocent bystander type (Immune complex type): PenicillinTolerance-breaking: Alpha methyl dopa Q